In a case of primary melanoma of 1-2mm depth, margins of excision of surrounding normal skin should be -
1. 0.5-1 cm
2. 1 cm
3. 1-2 cm
4. > 2cm

Correct answer: 3. 1-2 cm

Explanation: Ans. is'c' i.e., 1-2 cm[Ref: Fitzpatrick Vh/e p. 1153)